Key enzyme in urea synthesis is:
1. Urease
2. Carbamoyl Synthetase
3. Arginase
4. Ornithine

Correct answer: 2. Carbamoyl Synthetase

Explanation: Ans. B. Carbamoyl SynthetaseCarbamoyl synthetase catalyses the first step in urea cycle or Krebs Henseleit cycle and it is a rate limiting step in urea synthesis.